How many doses of vitamin A are required to treat deficiency ?
1. 1
2. 2
3. 3
4. 4

Correct answer: 3. 3

Explanation: Ans. is 'c' i.e., 3